What is the root value of long thoracic nerve?
1. C3 4 5
2. C5 6 7
3. C7 8 T1
4. C2 3 4

Correct answer: 2. C5 6 7

Explanation: Long thoracic nerve (C5-C7): It branches off the C5-C7 roots, descends posteriorly to the roots of the plexus and the axillary artery and along the lateral surface of the serratus anterior muscle, with the lateral thoracic artery, while supplying the muscle. The long thoracic nerve is one of the few nerves found superficial to the serratus anterior muscle. Phrenic nerve (C3-C5): Courses vertically along the anterior scalene muscle between the subclavian artery and the subclavian vein en route to innervate the diaphragm. ("C3-C5, keep the diaphragm alive" is a mnemonic that is used to remember the spinal nerve levels of the phrenic nerve.) Transverse cervical nerve (C2-C3): Innervates the skin over the anterior part of the neck. Supraclavicular nerve (C3-C4): Innervates the skin over the lower portion of the neck, upper part of the chest, and the shoulder. Also Know:Erb's palsy (brachial plexus birth injury) is caused by a stretch injury of the brachial plexus that occurs during a difficult birth, specifically to nerve roots C5 and C6 and sometimes C7.Klumpke's palsy results from injury to the inferior trunk of the brachial plexus. The intrinsic muscles of the hand are affected and a "claw hand" may result.